Alkalinization of urine is done in:
1. Aspirin
2. Atropine
3. Amphetamine
4. Morphine

Correct answer: 1. Aspirin

Explanation: Alkalinazation of urine is done to treat acidic drug poisoning.
e.g. : Aspirin, Barbiturates, Methotrexate, Penicillin.
Acidification of urine is done to treat basic drug poisoning.
e.g. : Amphetamine, Morphine, Atropine, Quinine.